Sympathetic stimulation causes all of the following except
1. Increase in heart rate
2. Increase in blood pressure
3. Increase in total peripheral resistance
4. Increase in venous capacitance

Correct answer: 4. Increase in venous capacitance

Explanation: Sympathetic stimulation causes
-        Heart- 

Positive chronotropic- Increased heart rate
Positive ionotropic- Increased contractility
Positive dromotropic- Increased conduction velocity
Positive bathmotropic- Increased automaticity
Refractory period decreased in cardiac cells
Increased stroke volume, cardiac output and blood pressure

-        Blood vessels

Increased peripheral resistance- Arteriolar constriction
Decreased venous capacitance- Venoconstriction